All of the following can be used in the treatment of hyperammonemia EXCEPT?
1. Sodium benzoate
2. L-carnitine
3. L-arginine
4. Phenylacetate

Correct answer: 2. L-carnitine

Explanation: Treatment of hyperammonemia: Phenylacetate Sodium benzoate L-arginine Dialysis may be required if plasma ammonia levels remain persistently high. L-Carnitine is used in Methylmalonic acidemia Propionic acidemia lsovaleric acidemia